True about Babesiosis -a) Caused by Babesia microtib) Resides in RBCc) Resides in WBCd) Chloroquine is the treament of choicee) It is filarial parasite
1. ab
2. a
3. ad
4. bc

Correct answer: 1. ab

Explanation: Intraerythrocytic protozoa
Tick borne malaria like illness in animal
Zoonotic: Opportunistic to human
Species: B. microti, B. bovis, B. diversus
Treatment of choice for Babesiosis: Clindamycin with oral quinine and atovaquone and azithromycin